Best preparation of insulin for IV injection is:
1. Lente
2. Semi lente
3. Regular insulin
4. Humulin

Correct answer: 3. Regular insulin

Explanation: cRef: KDT, 5th ed, p. 243, 240 & 4th ed, p. 271-269